Estrogen administration in a menopausal woman increase the:
1. Gonadotropin secretion
2. LDL cholesterol
3. Muscle mass
4. Bone mass

Correct answer: 4. Bone mass

Explanation: Postmenopausal women run a high-risk fr fracture of bones due to osteoporosis. PTH and IL-1 are involved. Estrogen prevents osteoporosis by inhibiting postdoc mastic activity and inhibits release of IL-1 by monocytes.
Increases absorption of calcium from the gut stimulates calcitonin secretion from C cells of thyroid and increases 1,25-dihydroxyvitamin D. All these lead to increased bone mineralisation